The most common cause of obstetrical hemorrhage is ___________
1. Uterine atony
2. Retained products
3. Trauma
4. Bleeding disorders

Correct answer: 1. Uterine atony

Explanation: Uterine atony is the most common cause of obstetrical hemorrhage. Uterine atony is the failure of uterus to contract sufficiently after delivery and to arrrest bleeding from vessels at the placental implantation site. Types of PPH: Primary: Hemorrhage occuring within 24 hrs of child birth Most common cause: Atonic PPH. Secondary: Hemorrhage occuring after 24 hrs and upto 12 weeks post partum. Most common cause: Retained placenta. Causes of PPH T- Tone : Atonic PPH T- Trauma : Traumatic PPH T- Thrombin: Coagulopathy (DIC and hypofibrinogenemia) T- Tissue: Retained products of conception Ref: Williams Obstetrics 24th edition PGno: 784